Which of the following fractures of femoral shaft are most suitable to internal fixation by Kuntscher nail?
1. Transverse fracture of mid shaft
2. Spiral fracture of mid shaft
3. Oblique fracture of distal third of shaft
4. Subtrochanteric fracture

Correct answer: 1. Transverse fracture of mid shaft

Explanation: Management plan of Fracture shaft of Femur in adultsExternal fixatorPlatingIntramedullary nailing*Excessive soft tissue injuries with extensive contamination *Medullary contamination *Vascular injury*Extremely narrow marrow canal *Fractures with previous malunion *Fractures extending into pertrochanteric and metaphyseal region *Ipsilateral fracture of neck and shaft of femurKuntscher'snailingInterlocking nailing*Transverse fracture at the isthmus *Segmental transverse fracture of mid third of femur*Diaphyseal fractures *Severe comminution *Oblique fracture*Spiral fracture *Segmental fracture with obliquity (Refer: Campbell's Operative Orthopedics, 10th edition, pg no:2825-2854)